A known case of ulcerative colitis presented to emergency with abdominal distension & tenderness. X ray abdomen is given below. Which of the following is true regarding patient condition?
1. Toxic megacolon
2. Rarely seen in ulcerative colitis
3. Sigmoid volvulus
4. Adhesions

Correct answer: 1. Toxic megacolon

Explanation: Given scenario suggests diagnosis of toxic megacolon in a known case of ulcerative colitis patient X ray abdomen shows dilated transverse colon >6 cm It is more commonly seen in ulcerative colitis than crohn disease Can be triggered by electrolyte abnormalities and narcotics Massive dilatation of colon leads to necrotic thin walled colon causing perforation Rx- Medical management- Fluids, IV antibiotics & supportive Total abdominal colectomy with ileostomy